Which of the following best characterizes alveolar ventilation and blood flow at the base, compared with the apex, of the lungs of a healthy standing person?
1. Ventilation - Higher, Blood flow - Higher, V/Q ratio - Lower
2. Ventilation - Lower, Blood flow - Higher, V/Q ratio - Higher
3. Ventilation - Lower, Blood flow - Lower, V/Q ratio - Lower
4. Ventilation - Higher, Blood flow - Lower, V/Q ratio - Higher

Correct answer: 1. Ventilation - Higher, Blood flow - Higher, V/Q ratio - Lower

Explanation: Ans. A. Ventilation - Higher, Blood flow - Higher, V/Q ratio - LowerAt the base, both airflow and blood flow are higher; however, blood flow exceeds airflow at the base, which results in a low V.A/Q. ratio. At the apex, blood flow and airflow are lower than at the base, but airflow is greater than blood flow, which leads to a high V.A/Q..